The most frequent finding of Bell’s palsy is:
1. Diminished corneal reflex
2. Mitotic pupil
3. Absence of taste sensation
4. Anhidrosis over half of the face

Correct answer: 1. Diminished corneal reflex